There is spontaneous rupture of the Achilles tendon in an 18-year-old male. It is most likely to be due to excess stress beyond -
1. Tendon strength
2. Bone strength
3. Muscle strength
4. Musculotendinous junction strength

Correct answer: 1. Tendon strength

Explanation: A rupture of the Achilles tendon occurs when the tendon is stretched outside beyond its capacity.
The most common site of rupture is the "watershed" less vascular area of tendon, which is 4 cm proximal to its insertion on calcaneum.